The rest position of mandible is established by muscles and
1. Pressure
2. Gravity
3. Temperature
4. None of the above

Correct answer: 2. Gravity